Hypothyroidism in pregnancy is least likely associated with
1. PIH
2. Recurrent abortions
3. Polyhydramnios
4. Preterm labour

Correct answer: 3. Polyhydramnios

Explanation: Overt or symptomatic hypothyroidism is reported to complicate between 2 and 10 pregnancies per 1000. Clinical/ overt hypothyroidism is confirmed when an abnormally high serum TSH level is accompanied by an abnormally low thyroxine level. Most common cause is Hashimoto thyroiditis Subclinical hypothyroidism is defined by an elevated serum TSH level and normal serum thyroxine concentration Complications in pregnancy Abortion Placental abruption Pretem birth Low Birth weight Stillbirth placental abruption Pre eclampsia Impaired psychomotor development of baby Also a cause of infertility, menstrual disturbances